Concerning attention deficit hyperactivity disorder which is true?
1. Impulsive behavior is a feature
2. Higher incidence in tic disorders
3. May respond to treatment with stimulants such as amphetamine
4. All the above

Correct answer: 4. All the above

Explanation: Ans. (d) All of the aboveRef : OP Ghai 8th edJ59# Attention deficit hyperactivity disorder in the (ICD- 10) is a psychiatric disorder of the neurodevelopmental type in which there are significant problems of attention, hyperactivity, or acting impulsively that are not appropriate for age.# Symptoms must begin by age six to twelve and persist for more than six months for a diagnosis to be made. In school-aged individuals inattention symptoms often result in poor school performanceSymptoms# Inattention# Hyperactivity (restlessness in adults),# Disruptive behavior, and# Impulsivity, are common in ADHD Academic difficulties are frequent as are problems with relationships.* Based on the presenting symptoms ADHD can be divided into three subtypes predominantly inattentive, predominantly hyperactive-impulsive, or combined.An individual with inattention may have some or all of the following symptoms:* Be easily distracted, miss details, forget things, and frequently switch from one activity to another.* Have difficulty in maintaining focus on one task.* Become bored with a task after only a few minutes, unless doing something enjoyable.* Have difficulty focusing attention on organizing and completing a task or learning something new.* Have trouble completing or turning in homework assignments, often losing things (e.g., pencils, toys, assignments) needed to complete tasks or activities.* Not seem to listen when spoken to.* Daydream, become easily confused, and move slowly.* Have difficulty processing information as quickly and accurately as others.* Struggle to follow instructions.An individual with hyperactivity may have some or all or the following symptoms:* Fidget and squirm in their seats.* Talk nonstop.* Dash around, touching or playing with anything and everything in sight.* Have trouble sitting sill during dinner, school, doing homework, and story time.* Be constantly in motion.* Have difficulty doing quiet tasks or activities.